Semen analysis of a patient is given below. Where is the site of block, if there is Azoospermia
Normal semen volume
Fructose present
1. Testicular
2. Below level of seminal vesicles
3. Above level of seminal vesicles
4. Pituitary

Correct answer: 3. Above level of seminal vesicles